Which of the following is the most common type of Tracheo-Esophageal fistula ?
1. Type A
2. Type B
3. Type C
4. Type D

Correct answer: 3. Type C

Explanation: Classification of TEF: Type A: Atresia only (60%) Type B: Atresia with proximal TEF (2%) Type C: Atresia with distal TEF (85%): most common Type D: Atresia with both proximal and distal TEF (rare) Type E: TEF only (1%)